Two ulcers on the chest wall and axilla, associated with underlying sinus tracts and discharge. Diagnosis?
1. Lupus vulgaris
2. Scrofuloderma
3. Lichen scrofulosorum
4. TBVC

Correct answer: 2. Scrofuloderma

Explanation: Ans. B. ScrofulodermaScrofuloderma (also known as "Tuberculosis cutis colliquativa") is a skin condition caused by tuberculous involvement of the skin by direct extension, usually from underlying tuberculous lymphadenopathy.